Most sensitive method of quantitative measurement of human chorionic gonadotrophin :
1. Paper chromatography
2. Latex particle test
3. Radio - immunoassay
4. Male toad test

Correct answer: 3. Radio - immunoassay

Explanation: Radio - immunoassay